The gene that regulates normal morphogenesis during development is :
1. FMR-1 gene
2. Homeobox gene.
3. P-16
4. FTEN.

Correct answer: 2. Homeobox gene.

Explanation: Ans. is 'b' i.e. Homeobox gene Homeobox geneis associated with normal morphogenesis.Their expression results in the production of localized cellular condensation of primitive mesenchyme in the sites of future bones.They play an important role in patterning of limbs, vertebrae and craniofacial structures.Mutations in Homeobox gene produces an extra digit between 3rd and fourth fingers as well as some degree of syndactyly.About other optionsFMR geneIt is familial mental retardation gene mutation in this gene causes Fragile-X- syndromePTENIt is phosphatase and tensin homologue.It is frequently deleted in many human cancers such as Glioblastomas, Prostate cancers, endometrial cancers and Breast cancer.P-16It is a tumour suppressor gene.